Sentinal lymph node for carcinoma penis is know as
1. Delphian node
2. Darwins node
3. Cabana node
4. Virchan node

Correct answer: 3. Cabana node

Explanation: Cabana Node ⇒ Superficial injuinal node is the sentinal lymph node for carcinoma penis.